Masculine or feminine features most directly depend on
1. Amygdala
2. Genetic makeup
3. Hypothalamic outflow
4. Serum testosterone levels

Correct answer: 4. Serum testosterone levels

Explanation: Ans. d (Serum testosterone levels). (Ref. Ganong, Physiology, 21st ed., 420)TestosteroneSource Testis (Leydig cells), adrenalPotency DHT> testosterone > androstenedioneTargets Skin, prostate, seminal vesicles, epididymis, liver (MH-2000)Functions1.Differentiation of wolffian duct system into internal gonadal structures. 2.Secondary sexual characteristics and growth spurt during puberty. 3.Required normal spermatogenesis. 4.Anabolic effects on muscle size, RBC production 5.Increases libido# Testosterone is converted to DHT by the enzyme 5 a-reductase, which is inhibited by finasteride. FunctionsAndrogen binding protein (ABP)Ensures that testosterone in seminifierous tubule is high.Inhibininhibits FSHTestosteroneDifferentiates male genitalia, has anabolic effects on protein metabolism, maintains gametogenesis, maintains libido, inhibits GnRH, and fuses epiphyseal plates in bone.FSHSertoli cells >> function >> sperm production (spermiogenesis)LHLeydig cell